Which of the following is not true regarding Lipofuscin 2
1. It results in excessive lipid accumulation in the circulation
2. Perinuclear location
3. It is yellow brown in colour
4. Has a role in lipid peroxidation

Correct answer: 1. It results in excessive lipid accumulation in the circulation

Explanation: Lipofuscin is a tell tale sign of free radical injury and lipid peroxidation. It has does not occur due to excessive lipid accumulation in the circulation.